Which is most potent HDL:
1. Pre-beta HDL
2. HDL-2
3. HDL-3
4. Discoidal HDL

Correct answer: 1. Pre-beta HDL

Explanation: Pre-beta HDL is the most potent HDL in making cholesterol from peripheral tissues. Pre b HDL : Lipid poor Most potent